All of the following are the clinical feature of thromboangitis obliterans except :
1. Absence of popliteal pulse
2. Superficial migratory thrombophlebitis
3. Raynaud's phenomenon
4. Claudication of arteries

Correct answer: 1. Absence of popliteal pulse

Explanation: The lesions in Buerger's disease are segmental and usually begin in arteries of small and medium sized such that the pulses in larger artery viz. brachial and poplitial are essentially normal but posterior tibial, dorasalis pedis, and radial and ulnar pulses are decreased or absent. Ref : Harrison 17/e p1570